All are ture about innate immunity except ?
1. Non-specific
2. First line of defence
3. Not affected by genetic affected
4. Includes complement

Correct answer: 3. Not affected by genetic affected

Explanation: Ans. is 'c' i.e., Not affected by genetic affected